other name of othello syndrome is called as
1. delusion of infedility
2. delusion of love
3. delusion of doubles
4. delusion of persecution

Correct answer: 1. delusion of infedility

Explanation: othello syndrome is called as delusion of marital infedility othello syndrome is common in alcoholic males this is is the most repeatedly asked question in entrance examinations the possible mechanism that is told for othello syndrome is that alcohol causes sexual dysfunction in males and thus inturn results in doubting the fidelity of the partner Ref.Kaplon and Sadock, synopsis of psychiatry,11th edition, pg.No.333